Urethral Crest is situated in
1. Prostatic Urethra
2. Membrnous Uretha
3. Penile Urethra
4. Bulbar Urethra

Correct answer: 1. Prostatic Urethra

Explanation: Dissection of prostate showing prostatic urethra and urethral crest on posterior wall.In males, the urethral crest is known as the crista urethralis masculinae, or the crista phallica, and is a longitudinal fold on the posterior wall of the urethra extending from the uvula of the bladder through the prostatic urethra. ref - researchgate.net